Features like increased psychomotor acitivity, waxy flexinbility at time are seen classically in :
1. Simple schizophrenia
2. Hebephrenic schizophrenia
3. Catatonic schizophrenia
4. None of the above

Correct answer: 3. Catatonic schizophrenia

Explanation: C. i.e. Catatonic schizophrenia